Pigment deposition on cornea seen in –a) Chloroquineb) Digoxinc) Ranitidined) Amiodarone
1. b
2. ad
3. ac
4. ab

Correct answer: 2. ad

Explanation: Causing pigment deposition in cornea
i) Superficial

Amiodarone                                  
Chloroquine 
Chlorpromazine  
Clofazimine   
Indomethacin
Naproxen    
Suramine 
Tilorone                                

ii) Stromal

Phenothiazines (chlorpromazine)